Most common cause for subdural hematoma
1. Injury to middle meningeal artery
2. Injury to middle meningeal vein
3. Tearing of cortical bridging veins
4. Rupture of berry aneurysm

Correct answer: 3. Tearing of cortical bridging veins

Explanation: Injury to MMA or MMV - Epidural.
Rupture of berry aneurysm - SAH.